Among the following the least common cause of acute upper GI bleeding is?
1. Mallory Weiss tear
2. Ulcer
3. Varices
4. Vascular ectasia

Correct answer: 4. Vascular ectasia

Explanation: Source of bleeding Proportion of patients, % Ulcers 31-67 Varices 6-39 Mallory Weiss tears 2-8 Gastroduodenal erosions 2-18 Erosive esophagitis 1-13 Neoplasm 2-8 Vascular ectasia 0-6 No source identified 5-15